α - adrenergic receptors are located in which part of urinary bladder
1. Dome of bladder
2. Base of bladder
3. Both of above
4. None of above

Correct answer: 2. Base of bladder

Explanation: α - adrenergic receptors are located in bladder base and urethra.